Obstruction to the flow of CSF at the aqueduct of Sylvius will most likely lead to enlargement of
1. All of the ventricales
2. Only lateral ventrical
3. Only fourth ventrical
4. Both lateral and third ventricles

Correct answer: 4. Both lateral and third ventricles

Explanation: CSF formation - choroid plexuses of the lateral third, and fourth ventricles. Some also originate from the ependymal cells lining the ventricles and from the brain substance CSF Circulation - lateral ventricles - third Ventricle of Sylvius - IV ventricle of magendie and Luschka - subarachnoid space - absorption by arachnoid vill Therefore, obstruction at aqueduct of sylvius will lead to enlargement of both lateral and third ventricles.